The best technique useful for initial viral load estimation is
1. Real time PCR
2. Widal test
3. Electrophoresis
4. Immunofluoresence

Correct answer: 1. Real time PCR